Functions of UGA codon
1. Initiates transcription
2. Translates
3. Terminates protein synthesis
4. None

Correct answer: 3. Terminates protein synthesis

Explanation: TERMINATOR CODONS : There are three codons which do not code for any particular aminoacid. They are "nonsense codons ",more correctly termed as puctuator codons or terminator codons. They mark end of protein synthesis . These three codons are UAA ,UAG,and UGA. REF :DM VASUDEVAN TEXTBOOK ; 8th EDITION ; Page no:580